A patient of Varicose veins came to hospital; intern was on duty. Which test he shall perform to rule out the DVT?
1. Brodie Trendelenburg test
2. Perthes test
3. Thomas test
4. Ober test

Correct answer: 2. Perthes test

Explanation: Perthes test is used to differentiate between Varicose veins and Deep vein thrombosis. The limb is elevated and an elastic bandage is applied firmly from the toes to the upper 1/3 of the thigh to obliterate the superficial veins only. With the bandage applied the patient is asked to walk for 5 minutes. If deep system is competent, the blood will go through and back to the heart. If the deep system is incompetent, the patient will feel pain in the leg.